Cell matrix adhesion are mediated by
1. Cadherins
2. Integrins
3. Selectins
4. Calmodulin

Correct answer: 2. Integrins

Explanation: ref, Robbins 8/e p96;9/ep24 The cell adhesion molecules are classified into four main families: Immunoglbulin family CAMs Cadherins Selectins